Wide fixed splitting of the second heart sound is typical of-
1. Atrial septal defect
2. Ventricular septal defect
3. Patent ductus arteriosus
4. Coarctation of aorta

Correct answer: 1. Atrial septal defect

Explanation: Wide fixed split of S2 is seen in ASD. Wide split : VSD, MR, LV pacemaker, WPW, PS, RVF, RBBB. Reverse split : RV pacemaker, WPW, Eisen menkers, AS, LVF, LBBB, TR Ref: Harrison's 20th ed